Reversible change from one cell type to other is known as?
1. Hyperplasia
2. Hypertrophy
3. Metaplasia
4. Dysplasia

Correct answer: 3. Metaplasia

Explanation: Metaplasia is an adaptive change in which one adult (mature) cell type is replaced by another adult (mature) cell. It is completely reversible
Hypertrophy refers to an increase in the size of cells without an increase in the number, resulting in an increase in the size of tissue.
Hyperplasia refers to an increase in the number of cells without an increase in cell size
Dysplasia is disordered growth with lack of uniformity of individual cells.